A sample is a subset of the population, selected so as to be representative of the larger population. All of the following are TRUE about cluster sampling, EXCEPT:
1. Sample size is same as that of simple random sampling
2. It is a two stage sampling
3. It is cheaper than other methods of sampling
4. It has the disadvantage of higher sampling error

Correct answer: 1. Sample size is same as that of simple random sampling

Explanation: A cluster random sample results from a two-stage process in which the population is divided into clusters and a subset of the clusters is randomly selected. Cluster sampling is somewhat less efficient than the other sampling methods because it requires a larger sample size. The recommended way to select a simple random sample is to use a table of random numbers or a computer-generated list of random numbers. So that the sample size is not same as that of cluster random sampling. Ref: Dawson B., Trapp R.G. (2004). Chapter 4. Probability & Related Topics for Making Inferences About Data. In B. Dawson, R.G. Trapp (Eds), Basic & Clinical Biostatistics, 4e.